Perseveration is:
1. Persistent and inappropriate repetition of the same thoughts
2. Feeling of distress in a patient with schizophrenia
3. Characteristic of schizophrenia
4. Characteristic of obsessive compulsive disorder

Correct answer: 1. Persistent and inappropriate repetition of the same thoughts

Explanation: Perseveration is the repetition of the same response, beyond the point of relevance. It is in response to a question and is not spontaneous. It can be a feature of schizophrenia but isn't characteristic. It can also be seen in organic mental disorders